For MTP consent is taken from -
1. Wife only
2. Husband only
3. Both
4. Neither

Correct answer: 1. Wife only

Explanation: Consent of only women is required, if she is above 18 years and sane.